Hyper segmented neutrophils are seen in:
1. Megaloblastic anemia
2. Iron deficiency anemia
3. Thalassemia
4. Idiopathic thrombocytopenic purpura

Correct answer: 1. Megaloblastic anemia